Karyotyping is done with all, except-
1. Blood lymphocyte
2. Blood monocyte
3. Amnion
4. Fibroblast

Correct answer: 2. Blood monocyte

Explanation: Ans. is 'b' i.e., Blood monocyte Kai-wit-vying o It is the study of chromosomes. o It is used in cytogenetics to study the chromosomal abnormalities. o A karyotype is a standard arrangement of a photographed or imaged stained metaphase spread in which chromosome pairs are arranged in order of decreasing length. o To produce a karyotype, one must obtain cells capable of growth and division as karyotyping is done by arresting mitosis in dividing cells in metaphase. o Samples used are Amniotic fluids (cells from amnion, skin, urogenital system, respiratory system and GI system). Chorionic vill. Bone marrow o Skin fibroblasts Peripheral blood lymphocytes o Fetal umblical blood. Lymph node tissue Solid tumor sample